Cryptococcus can be readily demonstrated by -
1. Albert's stain
2. India ink stain
3. Giema's stain
4. Gram's stain

Correct answer: 2. India ink stain